Saturnine Gout is due to:
1. Chronic Arsenic Posinoning
2. Chronic Lead Poisoning
3. Chronic Mercury poisoning
4. Chronic Iron Poisoning

Correct answer: 2. Chronic Lead Poisoning

Explanation: Saturnine Gout is due to Chronic Lead Poisoning. Saturnine gout Lead (Pg) decreases renal excretion of uric acid - increase Uric acid in blood (hyperuricemia) -Gout Chronic Poisoning (Plumbism, Saturnism or saturnine poisoning) Manifestation of Chronic Lead Poisoning or Plumbism are often remembered with the classical mnemonic. "New ABCDEGFGHI" New Neuropathy leading to weakness (Lead palsy; wrist drop/foot drop) Nephropathy leading to Renal failure A Anemia with punctuate basophilia (basophilic stippling) = Early feature Anorexia/Arthralgia/Abortion/Atrophy of optic nerve B Burtonian or blue stippled lead line on gums Burtonian line is a stippled blue line seen in 50-70% of cases of chronic lead poisoning or plumbism Basophilic stippling C Colic (abdominal pain) & constipation (Dry belly ache; Diarrhea is very rare) Coproporphyrin excess in urine Cerebral edema D Drop (wrist drop; foot drop) (lead palsy due to neuropathy) Dry belly ache (Colic abdominal pain & constipation) Dyspepsia E Encephalopathy (Lead Encephalopathy; usually seen in children; uncommon in adults) Emaciation Eosionophilia F Facial pallor (Facial pallor is the earliest symptom/sign of Lead poisoning) Foul smell of breath Failure (renal failure) Fanconi's syndrome G Gout (Santurnine Gout): Lead decreases urinary excretion of uric acid causing hyperuricemia and gout Gonadal dysfunction H Hypertension/Headache/Hallucination/Hyperesthesia I Impotence/Infertility/Insomnia/Irritability Ref: APC Essentials of Forensic medicine By Anil Aggarwal